Which of the following drugs required a dose adjustment in patient during radiotherapy in order to present radiation toxicity ?
1. Vincristine
2. Dactinomycin
3. Cyclophosphamide
4. 6-Mercaptopurine

Correct answer: 2. Dactinomycin

Explanation: Ans. is 'b' i.e., Dactinomycin o Like anthracyclines (doxo and daunorubicin), dactinomycin can also cause radiation recall syndrome and the dose should be adjusted with radiotherapy.